Drugs causing afterload reduction is
1. Digoxin
2. Captopril
3. Dobutamine
4. Furosemide

Correct answer: 2. Captopril

Explanation: Along with oxygen, medicationsassisting with symptom relief include: (1) diuretics, which reduceedema by reduction of blood volume and venous pressures; (2) vasodilators, for preload andafterload reduction; (3) digoxin, which can cause a small increase in cardiac output; (4) inotropic agents, which help to restore Refer katzung 11e p 219